Which of the following is not an embryonic structure that contributes to the formation of the face ?
1. Frontonasal prominence
2. Zygomatic prominence
3. Maxillary prominence
4. Mandibular prominence

Correct answer: 2. Zygomatic prominence

Explanation: Zygomatic prominence is not an embryological structure that contributes to the formation of face Face is derived from the following structures around the stomatodeum Mandibular prominences and maxillary prominences of first arch Frontonasal prominence formed by the proliferation of mesenchyme ventral to the brain vesicles.It gives rise to medial and lateral nasal prominences Ref: Inderbir Singh Human Embryology 11 edition pg 153.